The number of ciliary processes is about:
1. 20-30
2. 50-60
3. 70-80
4. 90-100

Correct answer: 3. 70-80

Explanation: Ans. 70-80